Most common cause of Acute pancreatitis is
1. Trauma
2. Biliary calculus
3. Alcoholism
4. Hypertriglyceridemia

Correct answer: 2. Biliary calculus

Explanation: B. i.e. (Biliary calculus) (2006-HI7th)* Gall stone is the most common cause (30 - 60%)* Alcohol is the second most common cause (15 - 30%)* Pancreatic pseudocysts occurs most commonly after - Pancreatitis*** Gall stone pancreatitis has the best prognosis**Common causes of Acute Pancreatitis* Gall stones (Including microlithiasis) commonest cause* Alcohol (Acute and chronic alcoholism)* Hypertriglyceridemia* ERCP after biliary manometry* Trauma (especially blunt abdominal trauma)* Post operative (Abdominal and non abdominal operations* **Drugs (Azathioprine, 6 mercaptopurine, sulphonamide estrogens, Tetracyclines, valproic acid anti- HIV medications)* Sphincter of oddi- dysfunction